Child survival index is calculated by ?
1. 1000-IMR/10
2. IMR-1000/10
3. 1000-U5MR/10
4. 1.15MR-1000/10

Correct answer: 3. 1000-U5MR/10

Explanation: Ans. is 'c' i.e., 1000-U5MR